Following are features of complete heart block EXCEPT-
1. Bradycardia
2. Cannon waves
3. Varying intensity of 1st heart sound
4. Heart rate increase during exercise

Correct answer: 4. Heart rate increase during exercise

Explanation: Third-degree atrioventricular block (AV block), is a medical condition in which the nerve impulse generated in the sinoatrial node (SA node) in the atrium of the heart can not propagate to the ventricles Because the impulse is blocked, an accessory pacemaker in the lower chambers will typically activate the ventricles. This is known as an escape rhythm. Since this accessory pacemaker also activates independently of the impulse generated at the SA node, two independent rhythms can be noted on the electrocardiogram (ECG). The P waves with a regular P-to-P interval (in other words, a sinus rhythm) represent the first rhythm. The QRS complexes with a regular R-to-R interval represent the second rhythm. The PR interval will be variable, as the hallmark of complete heart block is lack of any apparent relationship between P waves and QRS complexes . Ref Harrison 20th edition pg 1532